Drug used in irritable bowel syndrome with constipation is
1. Lubiprostone
2. Loperamide
3. Alosetron
4. Clonidine

Correct answer: 1. Lubiprostone

Explanation: -Lubiprostone acts by stimulating Cl- channel opening in the intestine, increasing liquid secretion in gut and decreasing transit time, therefore used for chronic constipation. -It has also been approved for constipation dominant irritable bowel syndrome in women. -Irritable bowel syndrome is a condition characterized by abdominal pain, bloating and altered bowel habits (diarrhea or constipation) For diarrhea dominant IBS, drugs that can be used are Loperamide or diphenoxylate New kappa opioid receptor antagonist- Fedotozine Reserpine analog - Mebeverine 5 HT3 antagonist - Alosetron (also reduces pain) Clonidine (also reduces distension induced pain ) For constipation dominant IBS, drugs effective are 5 HT4 agonists (tegaserod, prucalopride) Loxiglumide Lubiprostone Plecanatide